Isotretinoin embryopathy is characterized by all except
1. Venticulomegaly
2. Microtia
3. Conotruncal heart defects
4. Thymic hyperplasia

Correct answer: 4. Thymic hyperplasia

Explanation: Isotretinoin embryopathy is characterized by thymic hypoplasia or aplasia.